Fecal soiling in children is most commonly due to -
1. Hirschsprung's disease
2. Chronic constipation
3. Rectal atresia
4. None of the above

Correct answer: 2. Chronic constipation